Antidotes for acute iron poisoning :
1. Desferioxamine
2. Na EDTA
3. BAL
4. Penicillamine

Correct answer: 1. Desferioxamine

Explanation: A i.e. Desferoxamine